Which of the following streptococcal antigen cross-reacts with synovial fluid
1. Carbohydrate (group A)
2. Cell wall protein
3. Capsular hyaluronic acid
4. Peptidoglycan

Correct answer: 3. Capsular hyaluronic acid

Explanation: Various structural components of Streptococcus pyogenes exhibit antigenic cross-reaction with different tissues of the human body. Antigenic relationships have been demonstrated between capsular hyaluronic acid and human synovial fluid, cell wall protein and myocardium, group A carbohydrates and cardiac valves, cytoplasmic membrane antigens and vascular intima and peptidoglycans and skin antigens. It has been postulated that these antigenic cross-reactions may account for some of the manifestations of rheumatic fever and other streptococcal diseases, the tissue damage being of an immunological nature. Antigenic cross-reactivity: Streptococcal antigen Human antigen Disease Hyaluronic acid Synovial fluid Reactive arthritis Cell wall M protein Myocardium Acute rheumatic fever Peptidoglycan Skin antigens Guttate psoriasis Cell wall C carbohydrate Cardiac Valves Acute rheumatic fever Cytoplasmic membrane Glomerular vascular intima Acute glomerulonephritis Reference: Textbook of Microbiology; Anathanarayan and paniker's; 10th edition; Page no: 213